All of the following are effective against cytotoxic drug induced emesis except -
1. Dexamethasone
2. Hyoscine
3. Metoclopramide
4. Ondansetron

Correct answer: 2. Hyoscine

Explanation: Ans. is 'b' i.e., Hyoscine